Enzyme defect in acute intermittent porphyria -
1. HMB synthase
2. ALA dehydratase
3. URO I synthase
4. URO II synthase

Correct answer: 1. HMB synthase